Which of the following is most common type of ovarian tumors?
1. Granulosal cell tumor
2. Serous epithelial tumor
3. Mature teratoma
4. Dysgerminoma

Correct answer: 2. Serous epithelial tumor

Explanation: Serous epithelial tumor are the most common type of ovarian tumors.